Chronic simple glaucoma is a type of_____ glaucoma
1. Primary closed angle
2. Primary open angle
3. Secondary open angle
4. Secondary closed angle

Correct answer: 2. Primary open angle

Explanation: Ans. b (Primary open angle) (Ref. Schlote, Pocket Atlas of Ophthalmology, p. 153).# Primary open-angle glaucoma is also known as chronic open-angle glaucoma, chronic simple glaucoma, glaucoma simplex. Not all people with POAG have elevated IOP, but decreasing the eye pressure further has been shown to stop progression. The increased IOP is caused by trabecular blockage. Because the microscopic passages are blocked, the pressure builds up in the eye and causes imperceptible very gradual vision loss. Peripheral vision is affected first, but eventually the entire vision will be lost if not treated.# Diagnosis is made by looking for cupping of the optic nerve.# Rx: Pg agonists open uveoscleral passageways. Beta blockers (timolol) decrease aqueous formation. Carbonic anhydrase inhibitors decrease bicarbonate formation from ciliary processes, thus decreasing Aqueous humor formation. Parasympathetic analogs act on the trabecular outflow by opening up the passages and constricting the pupil. Alpha 2 agonists (brimonidine, apraclonidine) decrease fluid production (via. inhibition of AC) and increase drainage.High yield flow chart for Rx of Angle closure glaucoma:Glaucoma Classification (The European Glaucoma Society)Main typesSubtypesPrimary congenital glaucoma/ dysgenetic glaucomaIs due to primary trabecular meshwork dysgenesisPrimary open-angle glaucoma# Primary open-angle glaucoma with high pressur simple glaucoma# Primary open-angle glaucoma without high pressure/normal-pressure glaucoma# Primary juvenile glaucoma# Ocular hypertensionSecondary open-angle glaucoma# Secondary open-angle glaucoma as a result of ocular diseases# Pseudoexfoliation glaucoma# Pigment dispersion glaucoma# Lens-induced secondary open-angle glaucoma (phacolytic glaucoma, lens particle glaucoma, phacoanaphylactic glaucoma)# Glaucoma with intraocular hemorrhage (glaucoma with hyphema, hemolytic glaucoma, ghost cell glaucoma)# Glaucoma with intraocular inflammation# Glaucoma with intraocular tumors# Glaucoma with retinal detachment# Traumatic glaucoma# Iatrogenic secondary open-angle glaucoma contd # Steroid glaucoma# Glaucoma following intraocular surgery and laser therapy# Secondary open-angle glaucoma as a result of extraocular diseases# Glaucoma with raised episcleral venous pressurePrimary angle-closure glaucomaSecondary angle-closure glaucoma# Primary narrow-angle glaucoma# Secondary angle-closure glaucoma with pupillary block# Secondary angle-closure glaucoma without pupillary block with anterior pulling mechanism# Secondary angle-closure glaucoma without pupillary block with posterior pushing mechanismVariants of primary glaucoma# Pigmentary glaucoma# Exfoliation glaucomafpseudoexfoliative glaucoma or glaucoma capsulare)